The Limits of hinge movement in terminal hinge position of the mandible is about
1. 19 — 22 degrees
2. 12 — 15 degrees
3. 12 — 15 millimeters
4. 35 degrees

Correct answer: 2. 12 — 15 degrees